Arlt's line is seen in-
1. Vernal keratoconjunctivitis
2. Pterygium
3. Ocular pemphigoid
4. Trachoma

Correct answer: 4. Trachoma

Explanation: Arlt's line is seen in trachoma due to conjuctival scrarring,which may be irregular,star shaped or linear. this linear scar present in the sulcus subtarsalis is called Al's line Ref ; A K KHURANA Comorehensive Ophtalmology edition 4,page-69 ref img